Which of the following is the most common endocrine tumor of pancreas?
1. Gastrinoma
2. VIPoma
3. Insulinoma
4. Glucagonoma

Correct answer: 3. Insulinoma

Explanation: INSULINOMA: It is Pancreatic Neuroendocrine Tumor. Overall most common functional Pancreatic Neuroendocrine Tumor. NEURO ENDOCRINE TUMORS (NET) OF PANCREAS M/c Neuroendocrine tumor (NET):Non- functional M/c functional Neuroendocrine tumor:Insulinoma M/c functional & malignant NET:Gastrinoma. MC Enteropancreatic NET seen in MEN 1 -Nonfunctioning PPoma (pancreatic polypeptide secreting tumor) MC Functional Enteropancreatic NET in MEN 1 -Gastrinoma > Insulinoma